Hypotension in Acute Spinal Cord Injury is due to :
1. Loss of Sympathetic tone
2. Loss of Parasympathetic tone
3. Vasovagal Attack
4. Orthostatic Hypotension

Correct answer: 1. Loss of Sympathetic tone

Explanation: Answer is A (Loss of sympathetic tone) : Spinal cord il4tiry mat' produce hjpotension due to loss ofsympathetic tone. - ATLS 7th / 73 Interruption of sympathetic vasomotor input after a high cervical spinal cord injury may result in neurogenic shock. - Harrison Shock associated with spinal cord injury Neurogenic Shock Produced as a result of loss of sympathetic tone. It results from impament of the descending sympathetic pathways in the spinal cord. Classical picture of Neurogenic shock is hypotension without tachycardia or cutaenous vasoconstriction. Spinal Shock Refers to flaccidity and loss of reflexes seen after spinal cord injury. The 'shock' here is to the 'injured cord' which makes it appear completely functionless although all areas are not necessary destroyed. The duration of spinal shock is variable.